Which interleukin is needed for differentiation of eosinophils:
1. IL1
2. IL2
3. IL4
4. IL5

Correct answer: 4. IL5

Explanation: Ans. D: IL5